Anal carcinoma is most commonly carcinoma of type
1. Adeno carcinoma
2. Epidermoid
3. Mixed
4. None of the above

Correct answer: 2. Epidermoid

Explanation: Epidermoid carcinoma of the anus includes squamous cell ca, cloacogenic ca, transitional ca & basaloid ca. The clinical behavior and natural history of these tumors is similar.